In unilateral Afferent pupillary defect, when light is moved from normal to affected eye, there is -
1. Dilatation in affected side and constriction in normal eye
2. Dilatationin normal eye andc onstriction in affected side
3. Dilatation in both pupils
4. Constriction in both pupils

Correct answer: 3. Dilatation in both pupils

Explanation: Affetent signals don't reach the brain, so expected pupillary constriction will not be seen on the affected eye on showing the light. Normal eye will dilate. So both eyes dilated. Ref: Ref: AK Khurana 4thE pg:292